Which of this part of vertebral canal will show secondary curves with concavity backwards?
1. Cervical
2. Thoracic
3. Sacral
4. Coccyx

Correct answer: 1. Cervical

Explanation: Primary curvatures (concavity forwards) → thoracic and sacral.
Secondary curvatures (concavity backwards) → cervical and lumbar.